Pollicization can be best described as:
1. Toe to thumb transfer
2. Thumb reconstruction
3. Finger shortening
4. Amputation of thumb

Correct answer: 2. Thumb reconstruction

Explanation: Pollicization is a plastic surgery technique in which a thumb is reconstructed from an existing finger, usually index finger. Ref: Campbell's Operative Orthopaedics, 11th Edition, Pages 660, 662, 664; Atlas of Hand Surgery By Sigurd Pechlaner, Chapter 3, Microsurgery, Page 98